All of the following muscles retract the scapula, EXCEPT?
1. Trapezius
2. Rhomboid major
3. Rhomboid minor
4. Levator scapulae

Correct answer: 4. Levator scapulae

Explanation: Rhomboids major, rhomboids minor along with middle fibers of trapezius retract the scapula. Levator scapula and rhomboids muscle stabilize the scapula during shoulder movements and transmits the body weight to the vertebral column especially during lifting of heavy weight.Levator scapulae along with upper fibers of trapezius elevates the scapula.Levator scapula, rhomboids and trapezius help in reverse or medial rotation of scapula. InnervationTrapezius: Spinal part of accessory nerve gives motor supply and the C3 and C4 ventral rami are proprioceptive.Levator scapulae, rhomboids major and minor: They recieve branches from the dorsal scapular nerve. Additionally the levator scapulae recieve twigs from C3 and C4 ventral rami in the posterior triangle of neck